Best indicator for coronary artery disease ?
1. HDL
2. LDL
3. VLDL
4. Chlomicron

Correct answer: 2. LDL

Explanation: Ans. is 'b' i.e. LDL